The diagnostic procedure not done in case of pheochromocytoma.
1. CT scan
2. MRI
3. FNAC
4. MIBGscan

Correct answer: 3. FNAC

Explanation: Ans. is 'c' i.e. FNAC 1551 "Percutaneous fine-needle aspiration of chromaffin tumors is contraindicated; indeed, pheochromocytoma should be considered before adrenal lesions are aspirated." -Harrison"Catastrophic hypertensive crisis and fatal cardiac arrhythmias can occur spontaneously or may be triggered by intravenous contrast dye or glucagon injection, needle biopsy of the mass, anesthesia, and surgical procedures." -